Organelle where H202 is produced and destroyed is-
1. Peroxisome
2. Lysosome
3. Golgi body
4. Ribosome

Correct answer: 1. Peroxisome

Explanation: Ans. is 'a' i.e., Peroxisome Peroxisome is a membrane bound organellel found in all eukaryotic cells. "Peroxisomes contain a group of enzymes that oxidize a variety of substrates and thereby form hydrogen peroxide. The 11202 thus formed is efficiently decomposed within the organelle by catalase which is present in high concentration". Lysosomes can only form 11,02- They cannot degrade H202. Remember (also see above explanation) o 11202 is produced as well as destroyed in mitochondria and cytosol. o It is produced from superoxide by enzyme SOD. o It is destroyed by glutathione peroxidase.